Most common symptom of tetanus is -
1. Tonic-clonic seizures
2. Hemplegia
3. Lock-jaw
4. Opisthotonus

Correct answer: 3. Lock-jaw

Explanation: Ans. is 'c' i.e., Lock-jaw o Generalized tetanus is the most common form of tetanus, involvement of masseter muscles (trismus or lock jaw) is the presenting sign is most patients.o Other features include -i) Risus sardonicus : sardonic smile that results from sustained contraction of facial musclesii) Opisthotonus : spasm of back muscle causes backwards curving of bodyiii) Drooling, sweating, irritabilityiv) Cardiac arrhythmias and fluctuation in BPv) Generalized increase in muscle tore